The enzyme that is deficient in homocysteinuria:
1. Tyrosinase
2. Sphingomyelinase
3. Cystathionine synthase
4. Acid lipase

Correct answer: 3. Cystathionine synthase

Explanation: c. Cystathionine synthase(Ref: Nelson's 20/e p 636-642; Ghai 8/e p 653-655)Basic Defect of E.Homocystinuria:Classic Homocystinuria is caused by Cystathionine b-Synthase deficiencyHoocystinuria can also be caused by deficiency of Methylene tetrahydrofolate Reductase & defects in Methylcobalamin formation.